All is exempted from oral testimony EXCEPT
1. Dying declaration
2. Medical evidence of injury as witness
3. Chemical examination report
4. Evidence of medical expert in lower court

Correct answer: 2. Medical evidence of injury as witness

Explanation: B i.e. Medical evidence of injury as witness